A 22-year-old man with AIDS complains of persistent cough, night sweats, low-grade fever and general malaise. A chest X-ray reveals an area of consolidation in the periphery of the left upper lobe, as well as hilar lymphadenopathy. Sputum cultures show acid-fast bacilli. Which of the following is the most likely diagnosis?
1. Bronchopneumonia
2. Pulmonary abscess
3. Sarcoidosis
4. Tuberculosis

Correct answer: 4. Tuberculosis

Explanation: Tuberculosis represents infection with Mycobacterium tuberculosis, although atypical mycobacterial infections may mimic it. The Ghon complex includes parenchymal consolidation and enlargement of ipsilateral hilar lymph nodes and is often accompanied by a pleural effusion None of the other choices feature acid-fast organisms